What is the definitive method of diagnosing pulmonary embolism?
1. Ventilation perfusion imaging
2. Positron Emission Tomography
3. High Resolution CT
4. Pulmonary angiography

Correct answer: 4. Pulmonary angiography

Explanation: CT pulmonary angiography is the first line diagnostic test for pulmonary embolism.It has the advantages of visualising the distribution and extent of the embolism,or highlighting an alternative diagnosis,such as consolidation,pneumothorax or aortic dissection. Reference:Davidson's medicine-22nd edition,page no:722.